Most common abnormality in first trimester abortion
1. Defective genes
2. Cervical incompetence
3. Placental & membrane abnormality
4. Retroversion

Correct answer: 1. Defective genes

Explanation: A. i.e. (Defective genes) (161 - Dutta)* Genetic factor (50%) of early miscarriage are due to chromosomal abnormality in the conceptus. Autosomal trisomy is the commonest (50%) cytogenic abnormality in FIRST TRIMESTER*** Cervical incompetence (congenital or acquired) is the most common abnormality in SECOND TRIMESTER*** The cause of fetal death in ectopic pregnancy is postulated as vascular accident*** Most valuable diagnostic test in a case of suspected ectopic pregnancy is - Transvaginal USG**